A clean incised wound heals by:
1. Primary intention
2. Secondary intention
3. Excessive scarring
4. None of the above

Correct answer: 1. Primary intention

Explanation: A i.e. Primary intention